All are true about hepatic adenoma except -
1. Seen in young females
2. Abdominal pain
3. OCP usage is a risk factor
4. Usually multiple

Correct answer: 4. Usually multiple

Explanation: Hepatic adenoma are seen in young females around 40 years of age. Abdominal pain is the presenting symptom. They are usually single. Treatment is by embolization of artery.